Bence Jones proteinuria is found on a urinalysis specimen from a 63 year old woman. She is developing chronic renal failure and has a high serum urea nitrogen and creatinine. A radiograph of the vertebral column demonstrates multiple 1 to 2 cm rounded areas of decreased bone density. The pathological examination from a renal biopsy is likely to show which of the following complication?
1. Pneumocystis carinii pneumonia
2. Sclerodactyly
3. Chronic myelogenous leukemia
4. Amyloidosis

Correct answer: 4. Amyloidosis

Explanation: Multiple myeloma is one of the most common causes for amyloidosis that leads to renal failure. The plasma cells secrete light chains and produce the proteinuria as well as the amyloid.